True about incest is:
1. Punishable under Sec. 294 IPC
2. Punishable under Sec. 377 IPC
3. Punishable under Sec. 304-A IPC
4. Not punishable in India

Correct answer: 4. Not punishable in India

Explanation: Ans. Not punishable in India